The health indicator obtained by dividing height by cube root of weight is
1. Quetelet's index
2. Brocca index
3. Corpulence index
4. Ponderal index

Correct answer: 4. Ponderal index

Explanation: Park's textbook of preventive and social medicine 23rd edition. ponders index= height (cm)/cube root of body wgt quetelet's index= wgt (kg)/height square. Brocca index =height -100 Corpulence index= actual wgt/ desirable wgt